Ground glass hepatocytes are seen in which of the Viral hepatitis
1. HAV
2. HBV
3. HCV
4. HDV

Correct answer: 2. HBV

Explanation: Hepatitis B - morphological features Microscopically, hepatitis B can produce all histological features of acute and chronic hepatitis. Liver biopsy specimen shows a particular morphologic feature, that is nearly diagnostic- Ground glass appearance Cause: accumulation of HBsAg in cytoplasm; large, pale, finely granular, pink cytoplasmic inclusions on hematoxylin- eosin staining. TEXT BOOK OF ROBINS BASIC PATHOLOGY NINTH EDITION PAGE.617 IMAGE REF: ROBINS BASIC PATHOLOGY NINTH EDITION FIG: 15-12 PAGE 617